The frequently occurring value in a data is -
1. Median
2. Mode
3. Standard deviation
4. Mean

Correct answer: 2. Mode

Explanation: Ans. is 'b' i.e., Mode The modeo The mode is the value that occurs the most frequently in a data set.o For example the diastolic BP of 10 individuals 75,71,13, 84,81,75,79,75,80,90o The most frequently occuring value is 75, and therefore the mode.o If there are 2 most frequent value in the distribution, i.e., two modes -->> Bimodol distribution. For example Hodgkin's lymphoma, there are two age groups around which most of the cases occur.Advantageo Easy to understand and is not affected by extreme items (skewed deviation).o The concept of mode makes sense for nominal data (i.e., not consisting numerical values). For example, taki a sample of korean family names, one might find "Kim" occurs more often than any other name. Then "Kim" might be called the mode of the sample.Disadvantageo Exact location is often uncertain and is often not clearly defined.